A contusion usually result from
1. Cut injury
2. Blunt trauma
3. Crush injury
4. Penetrating injury

Correct answer: 2. Blunt trauma